Which of the following estimates blood creatinine level most accurately:
1. Jaffe method
2. Kinetic jaffe method
3. Technicon method
4. Enzyme assay

Correct answer: 4. Enzyme assay

Explanation: There are two methods for estimation of Creatinine in blood: 1. Jaffe's test: In alkaline medium, Creatinine forms a red coloured tautomer of Creatinine Picrate which is measured colorimetrically. This method can be automated in auto-analysers and kinetic method can be used. Kinetic jaffe more accurate than jaffe's method. It gives falsely elevated value of creatinine due to presence of various compounds in serum 2. Enzymatic method: By employing two enzymes Creatininase or Creatinine Deaminase. It is more specific and accurate. There is no interference by Ketones, Bilirubin or Glucose. Hence measure Creatinine accurately.